Allograft is between
1. Individuals of same genetic constitution
2. Individuals of same species with different genetic identity
3. Twins
4. Members of different species

Correct answer: 2. Individuals of same species with different genetic identity

Explanation: Autografts - donor & recipient is the same Isografts - donor & recipient is the same genotypeAllografts - same species but different genotypeXenografts - between different species